What is deposited in Bronze diabetes -
1. Bronze
2. Copper
3. Iron
4. Carbon

Correct answer: 3. Iron

Explanation: Bronze diabetes is a genetic disorder caused by an overstorage of iron in the body which leads to organ damage.
Triad of bronze diabetes includes cirrhosis, diabetes mellitus, and skin pigmentation.